IUCD with maximum incidence of ectopic pregnancy :
1. Progestasert
2. Lippes loop
3. Copper - T
4. Multiload device

Correct answer: 1. Progestasert

Explanation: Progestasert